For Grommet tube insertion in serous otitis media, the incision on tympanic membrane is made on:
1. Anteroinferior quadrant
2. Anterosuperior quadrant
3. Posterosuperior quadrant
4. Posteroinferior quadrant

Correct answer: 1. Anteroinferior quadrant

Explanation: Ans: A (Anteroinferior quadrant) Ref: Diseases of the Ecu: Nose and Throat by PL Dhingra. 5th edn.2010.Page 407Explanation:Myringotomy is a surgical procedure in which incision is made on the tympanic membrane to drain suppurative or non suppurative effusion of the middle ear or to provide aeration of middle ear in case of malfunctioning Eustachian tube.Indications are:Asom with severe earache, incomplete resolution or with complications like mastoiditis.Secretory otitis media.Aero-otitis media.Atelectatic ear.lncisiun used are:Radial incision: Made in the anteroinferior quadrant in secretory otitis media.Circumferential incision: Made in the posteroinferior quadrant in acute suppurative otitis media.